The success of the calcium hydroxide pulpotomy is
determined by the
1. Formation of calcific bridge
2. Formation of hard base to support restoration
3. Continuation of root formation and Apexogenesis
4. All of the above

Correct answer: 3. Continuation of root formation and Apexogenesis